Which of the following statements is/are true about lathyrism – a) Vitamin C prophylaxisb) Banning of cropc) Flaccid paralysisd) Parboiling detoxicates pulsese) BOAA is causative toxin.
1. abcd
2. bcde
3. acde
4. abde

Correct answer: 4. abde